Characteristic feature of retrovirus is:
1. Ribonuclease
2. Reverse transcriptase
3. DNA polymerase
4. Restriction endonuclease

Correct answer: 2. Reverse transcriptase